Malonate is a competitive inhibitor of succinate dehydrogenase, a key enzyme in the Krebs tricarboxylic acid cycle. The presence of malonate will affect the kinetic parameters of succinate dehydrogenase in which one of the following ways?
1. Increases the apparent Km but does not affect Vmax.
2. Decreases the apparent Km but does not affect Vmax.
3. Decreases Vmax but does not affect the apparent Km
4. Increases Vmax but does not affect the apparent Km.

Correct answer: 1. Increases the apparent Km but does not affect Vmax.

Explanation: A competitive inhibitor competes with the substrate for binding to the active site of the enzyme, in effect increasing the apparent Km (in the presence of inhibitor, it will require a higher concentration of substrate to reach 1/2 Vmax because the substrate is competing with the inhibitor for binding to the active site). As the substrate concentration is increased, the substrate, by competing with the inhibitor, can overcome its inhibitory effects, and eventually, the normal Vmax is reached. A noncompetitive inhibitor will decrease the Vmax without affecting the binding of substrate to the active site, so the Km is not altered under those conditions. An activator of an allosteric enzyme will decrease the apparent Km without affecting Vmax (less substrate is required to reach the maximal velocity).